Management of extradural hemorrhage is ?
1. Antibiotics
2. Immediate evacuvation
3. Evacuvation after 24 hrs
4. Observation

Correct answer: 2. Immediate evacuvation

Explanation: Ans. is 'b' i.e., Immediate evacuvation